Vision 2020 does not include:-
1. Cataract
2. Trachoma
3. Onchoccriasis
4. Epidemic conjunctivitis

Correct answer: 4. Epidemic conjunctivitis

Explanation: Epidemic conjunctivitis VISION 2020: The Right to Sight is a global joint initiative of the World health Organization (WHO) and the International Agency for the Prevention of Blindness (IAPI), with its international coalition of Non Governmental Organisations (NGOs), professional associations, eye care institutions and corporations. 'VISlON 2020 aims to eliminate avoidable blindness worldwide by the year 2020, in order to give everyone in the world the Right to Sight.The diseases included in vision 2020 include 1. Cataract 2. Trachomna 3. Onchocerciasis 4. Childhood blindness 5. Refractory error and low vision